ALL carpal bones articulate with the radius except
1. Pisiform
2. Scaphoid
3. Lunate
4. None

Correct answer: 1. Pisiform

Explanation: Ans. is 'a' i.e., Pisiform * The radiocarpal joint is a major synovial joint of the wrist and is an example of a condyloid joint.* The joint occurs proximally between the distal end of the radius and the articular disc of the distal radioulnar joint, and distally by the proximal carpal row (the scaphoid, lunate and triquetral bones).Carpal boneArticulating withScaphoidRadius, trapezium, trapezoid, lunate, capitateLunateRadius, capitate, hamate, scaphoid, triquetralTriquetralHamate, lunate, pisiformPisiformTriquetralTrapeziumScaphoid, trapezoid, 1st 8c 2nd metacarpalTrapezoidScaphoid, trapezium, capitate, 2nd metacarpalCapitateScaphoid, lunate, trapezoid, hamate, 2nd 3rd 8c 4th metacarpalsHamateLunate, capitate, triquetral, 4th 8c 5th metacarpals